Lamellar bodies in amniotic fluid, used to assess fetal lung maturity are derived from
1. Syncytiotrophoblast
2. Pulmonary vascular endothelium
3. Type II pneumocytes
4. Chorionic epithelium

Correct answer: 3. Type II pneumocytes

Explanation: Lamellar body count is rapid, simple and accurate method to assess fetal lung maturity that is comparable to L/S ratio.